Fundus of uterus drains into ?
1. External iliac
2. Inguinal
3. Paraaortic
4. Obturator

Correct answer: 3. Paraaortic

Explanation: Paraaortic Cervix (lower lymphatics) :- Lymphatics drain into external iliac, internal iliac, and sacral nodes. Lower part of body (middle lymphatics) :- Lymphatics drain into the external iliac nodes. Fundus and upper part of body (upper lymphatics) :- Lymphatics drain mainly into para-aortic nodes and a few lymphatics from the uterine cornu accompany the round ligaments to reach the superficial inguinal nodes.